Which of the following is false statement about sex chromatin
1. The number of bar bodies in someone with 47XXY genetic makeup is two
2. Barr body may be seen in genetic male
3. Drumstick shaped mass of chromatin in Neutrophil nucleus is called Davidson body
4. A site for sampling for sex chromatin is buccal mucosa

Correct answer: 1. The number of bar bodies in someone with 47XXY genetic makeup is two

Explanation: ***The number of Bar bodies is one lesser than the number of X chromosomes ***Barr body is a small mass lying near the nuclear membrane ,it represents the inactivated chromosome ***Bar bodies are seen 0-4percent of genetic males and 20-80 percent of genetic females ***sites for sampling for sex chromatin:Buccal mucosal, tooth pulp, hair bulb ***Davidson body is a drumstick shaped mass of chromatin hanging down from Neutrophil nuclei,it is seen only in females (0-6percent) synopsis of Forensic Medicine and toxicology ,28th edition page number 84